Air travel in Pregnancy is permitted up to ________ weeks period of gestation:-
1. 28
2. 32
3. 36
4. 40

Correct answer: 3. 36

Explanation: WHO IHR's guidelines for air travel in pregnancy upto 36 weeks of period of gestation with single baby.(If twins upto 32 weeks POG) After 28 weeks, mother should carry EDD certificate.